Bell's palsy patient comes on day 3. Treatment given would be
1. Intratympanic steroids
2. Oral steroids and Vitamin B
3. Oral steroids and Acyclovir
4. Vitamin B and vasodilator

Correct answer: 3. Oral steroids and Acyclovir

Explanation: Steroids prevent synkinesis and crocodile tears and shorten recovery time of facial paralysis. Acyclovir reduces incidence of herpes zoster oticus. Ref: Dhingra 6th edition pg. 95